Example of Physiological Antagonism is:
1. Heparin protamine
2. Prostacydine-thromboxane
3. Adrenaline-phenoxybenzamine
4. Physostigmine-acetylcholine

Correct answer: 2. Prostacydine-thromboxane

Explanation: Prostacydine-thromboxane